Channel which drains major part of myocardium:
1. Coronary sinus
2. Great cardiac vein
3. Anterior cardiac vein
4. Venae cordis minimae

Correct answer: 1. Coronary sinus

Explanation: Coronary sinusIt is a collection of veins joined together to form a large vessel that collects blood from the heartmuscle (myocardium).It delivers deoxygenated blood to the right atrium, as do the superior and inferior vena cava.The coronary sinus opens into the right atrium, at the coronary sinus orifice, between the inferior vena cava and the right atrioventricular orifice.It returns the blood from the substance of the heart, and is protected by a semicircular fold of the lining membrane of the auricle, the valve of coronary sinus (or valve of Thebesius).